Which organism causes toxin shock syndrome
1. Pneumococcus
2. Escherichia coli
3. Staphylococcus aureus
4. Enterococcus

Correct answer: 3. Staphylococcus aureus

Explanation: Staphylococcal infections are characteristically localized pyogenic lesions. The common localized pyogenic staphylococcal infections are: Skin and soft tissue infections: Folliculitis, furuncle, abscess, wound infection, carbuncle, impetigo, paronychia and less often cellulitis. Musculoskeletal: Osteomyelitis, arthritis, bursitis and pyomyositis Respiratory: Tonsillitis, pharyngitis, sinusitis, otitis, bronchopneumonia, lung abscess, empyema and rarely pneumonia CNS: Abscess, meningitis and intracranial thrombophlebitis Endovascular: Bacteremia, septicemia, pyemia and endocarditis Urinary: UTI Ref: Textbook of Microbiology; Ananthanarayanan and Panicker; 10th Edition page 204